Verapamil is not associated with:
1. Diabetes.
2. Constipation.
3. Bradycardia.
4. Increased PR internal.

Correct answer: 1. Diabetes.

Explanation: Thiazides and beta-blockers are not safe in diabetic patients